All of _the following may be seen in patient of cardiac tamponade except-
1. raised JVP
2. Hypotension with narrowed pulse pressure
3. muffled heart sounds
4. atrial flutter

Correct answer: 4. atrial flutter

Explanation: Beck's triad is a collection of three medical signs associated with acute cardiac tamponade Components of Beck's Triad Hypotension with a Narrowed Pulse Pressure Jugular Venous Distention Muffled heart Sounds Ref Harrison 20th edition pg 1456